A 30 year old male presents with a creamy white patch on the tongue. The most probable diagnosis is:
1. Candidiasis
2. Histoplasmosis
3. Lichen Planus
4. Aspergillosis

Correct answer: 1. Candidiasis

Explanation: Candidal stomatitis or oral thrush is the presence of a curdy white pseudomembrane on the buccal, labial, tongue, gingival or palatal mucosa in otherwise healthy individuals. Ref: Skin Diseases and Sexually Transmitted Infection, Uday Khopkar, 6th Eidition, Page 61; Harrison's Principles of Internal Medicine, 16th Edition, Page 183, 188.